Which of the following statements is true about new formula WHO–ORS?
1. It has Na+ ion concentration of 75 mM/L
2. Its glucose concentration is 75 mM/L
3. Its total osmolarity is 245 mOsm/L
4. All of the above

Correct answer: 4. All of the above